Best prognosis for reversibility is seen in :
1. lsthmo -- isthmic type
2. Isthmic -- ampullary type
3. Ampullary -- interstitial type
4. Ampullary -- timbrial type

Correct answer: 1. lsthmo -- isthmic type

Explanation: Ans. is a i.e. isthmo -isthmic type Read the following lines "lt is important to select the site of tuba! ligation carefully which should ideally be done at the tubal isthmus. This is because in the event of the patient desiring a tubal recanalization procedure, the isthmoisthmic anastomosis carries the best chances of success". Site for performing tubal ligation = isthmusdeg. Postpartum laparoscopic ligation - done after 6 weeks postpaumdeg.